Which of the following is not true about Corynebacterium diphtheria?
1. Deep invasion is not seen
2. Elek's test is done for toxigenicity
3. Metachromatic granules are seen
4. Toxigenicity is mediated by chromosomal change

Correct answer: 4. Toxigenicity is mediated by chromosomal change

Explanation: Diphtheria acts by its toxin and invasion are not seen. Elec gel precipitation test is done for determination of pathogenicity of diphtheria. Metachromatic granules are seen also called as Babes earnest granules. Bacteriophages (extra-chromosomal) are responsible for toxigenicity by phage conversion. Ref: Ananthanarayana textbook of Microbiology 9th edition Pgno : 236